Drug of choice for renal crises in scleroderma is:
1. n-blocker
2. Losartan
3. ACE inhibitor
4. Nitrates

Correct answer: 3. ACE inhibitor

Explanation: Answer is C (ACE Inhibitors): ACE Inhibitors are the agent of choice for management of hypertension in Scleroderma Renal Crisis. Scleroderma Renal Crisis Sceroderma commonly affects the kidneys and up-to 50 percent of patients with scleroderma may have renal involvement at some stage Scleroderma Renal Crisis is the most severe manifestation of renal involvement in scleroderma and is characterized by accelerated hypertension, rapid decline in renal function, nephrotic proteinuria and hematuria. Retinopathy and encephalopathy may accompany the hypertension. Treatment with ACE Inhibitors is the recommended first line therapy unless contraindicated. Additional Anti-_ hypertensives may be added once the ACE Inhibition is maximized. The goal of treatment is to reduce the systolic blood pressure by 20mm Hg and diastolic blood pressure by 10 mm Hg every 24 hours until blood pressure is normalized.